Gastric lymph node station no 5:
1. Supra pyloric
2. Splenic hilum
3. Lesser curvature
4. Greater curvature

Correct answer: 1. Supra pyloric

Explanation: Ans. (a) SuprapyloricRef: Sabiston 19th Edition, Page 1210Author's advice: Lymph node stations are too much for PG entrance level. It's an extra edge for institute exam preparationThose who are preparing for AIIMS/PGI can have an idea given below:* There are totally 16 Lymph node stations for cancer stomach* Level 1 nodes (N1): Perigastric Nodes* Level 2 nodes (N2): Removal of nodes along major vessels near stomach* Level 3 nodes (N3): Distant Nodes inside abdomen* D1 Gastrectomy: Removal of all level 1 nodes* D2 Gastrectomy: Removal of all nodes in Level 1 and level 2. This is the ideal treatment for gastric cancer as per latest NCCN guidelines.Nodal StationsLevel 1Level 2Level 31. Right gastric2. Left gastric3. Along lesser curve4. Along greater curve5. Supra pyloric6. Infrapyloric7. Left gastric artery8. Common hepatic Artery9. Celiac trunk10. Splenic Hilum11. Splenic Vessels12. Hepato duodenal13. Retropancreatic14. SM vessels15. Retrocolic16. Paraaortic